Filamentous fungi that infect the only superficial keratinized tissues is known as:
1. Dermatophyte
2. Dimorphic fungi.
3. Mucormycosis
4. Candida

Correct answer: 1. Dermatophyte

Explanation: Dermatophytes causes ringworm